All of the following are true about intestinal motility except
1. Increased by distension
2. Depends on gastric motility
3. Increased by cholecystokinin
4. Increased by secretin

Correct answer: 4. Increased by secretin

Explanation: "Peristaltic activity of the small intestine is greatly increased after a meal. This increased activity is caused partly by the beginning entry of chyme into the duodenum, causing stretch of the duodenal wall. In addition, peristaltic activity is increased by the so-called gastroenteric reflex that is initiated by distention of the stomach and conducted principally through the myenteric plexus from the stomach down along the wall of the small intestine." "In addition to the nervous signals that may affect small intestinal peristalsis, several hormonal factors also affect peristalsis. These factors include gastrin, CCK, insulin, motilin, and serotonin, all of which enhance intestinal motility and are secreted during various phases of food processing. Conversely, secretin and glucagon inhibit small intestinal motility." Reference: Guyton Physiology, 13th ed, Page: 813